Musculocutaneous nerve supplies all of the following, EXCEPT?
1. Brachialis
2. Brachioradialis
3. Biceps
4. Coracobrachialis

Correct answer: 2. Brachioradialis

Explanation: The musculocutaneous nerve arises from the lateral cord of the brachial plexus, opposite the lower border of the pectoralis major, its fibers being derived from C5, C6 and C7. In its course through the arm it innervates the coracobrachialis, biceps brachii, and the greater part of the brachialis.